Most serious side effect with sodium polystyrene sulfonate -
1. Intestinal perforation
2. Rebound hyperkalemia
3. Cardiac arrest
4. Respiratory arrest

Correct answer: 1. Intestinal perforation

Explanation: Ans. is 'a' i.e., Intestinal perforation o Sodium polystyrene sulfonate (SPS) exchanges Na+ for K+ in the gastrointestinal tract and increases the fecal excretion of K+.It causes slow increase in serum K+ concentration.The full effect may take up to 24 hours and usually requires repeated doses every 4-6 hours.Intestinal necrosis is the most serious complication of SPS.